Knife used for gingivectomy is:
1. Kirkland
2. Orbans
3. Merifield
4. Burkett's

Correct answer: 1. Kirkland